Which of the following sites is not involved in a posterior cerebral artery infarct
1. Midbrain
2. Thalamus
3. Temporal lobe
4. Anterior Cortex

Correct answer: 4. Anterior Cortex

Explanation: Thalamus is mainly supplied by central branches of posterior communicating,posterior cerebral and basilar arteries *Midbrain supplied by posterior cerebral,superior cerebellar and basilar arteries Posterior cerebral asy gives off temporal branches which ramify over inferior surface of temporal lobe *Anterior cortex supply by anterior cerebral arteries and middle cerebral artery Ref Harrison20th edition pg 2367